All except one are true regarding cavernous sinus
1. Cavernous sinus roof is formed by meningeal layer of duramater, and floor is formed by endosteal layer of duramater.
2. It is an unpaired venous sinus.
3. 3rd and 4th cranial nerve and internal carotid artery pierce roof of cavernous sinus
4. Abducens nerve passes through the cavernous sinus.

Correct answer: 2. It is an unpaired venous sinus.

Explanation: Cavernous sinus is a paired venous sinus.